What is the minimum and maximum score of Expanded New Ballard Score
1. - 15 and 40
2. 20 and 44
3. - 20 and 44
4. - 10 and 50

Correct answer: 4. - 10 and 50

Explanation: Minimum score is -10, corresponds to 20 weeks of gestational age
Maximum score of 50, corresponds to 44 weeks of gestational age.